A Primi mother having 3 weeks male child, which is presenting with noisy breathing sound child is afebrile, sleeping & feeding well & on clinical examination, He is normal Management protocol include –
1. Begin IV antibiotics
2. Reassure & give saline nasal drop
3. Give recemic epinephrine
4. Order for a chest X–ray

Correct answer: 2. Reassure & give saline nasal drop

Explanation: This 3 weeks male child with noisy breathing does not have chest indrawing or fast breathing (as clinical examination is normal).
So, this child is having simple cough or cold, no pneumonia.
Management includes : -


Reassurance to mother
Frequent breast feeding
Keep the baby warm
Clear the nose